The least common type of intussusceptions is:
1. Multiple
2. Colocolic
3. Ileoileal
4. Ileoileocolic

Correct answer: 1. Multiple

Explanation: Types of Intussusceptions (in decreasing order) Ileocolic (77%) Ileo-ileo-colic (12%) Ilioileal (5%) Colocolic (2%): MC in adults Multiple (1%) Retrograde (0.2%)